Antemortem and postmortem wounds could be differentiated by all, except -
1. Everted margins
2. Blood clots in surrounding
3. Swollen edges
4. Sharp edges

Correct answer: 4. Sharp edges

Explanation: the synopsis of forensic medicine & toxicology ; Dr k.s narayan reddy ; 28 th edition ; Pg.no.106 By sharp edges we can not differentiate between antemortem & postmortem wound . All the other options are applicable .